What is the wavelength of UV rays used in Woods lamp?
1. 360 nM
2. 460 nM
3. 660 nM
4. 760 nM

Correct answer: 1. 360 nM

Explanation: Ans. A. 360nMA Wood's lamp generates 360-nm ultraviolet (or "black") light produced by a mercury vapor source passed through a nickel oxide filter that can be used to aid the evaluation of certain skin disorders.